Meningococcal quadrivalent vaccine is available for these serogroup Except
1. A
2. Y
3. W135
4. G23

Correct answer: 4. G23

Explanation: Vaccines are available against meningococci of serogroup A, C, W135 and YMonovalent (A or C) bivalent (A,C) trivalent (A, C, w135) quadrivalent (A, C, W135, Y)Park 23e pg: 164